Parents should begin cleaning a child's mouth
1. By the time first tooth erupts
2. When all deciduous teeth erupt
3. When all anterior teeth have erupt
4. When incisors and first molars have erupt

Correct answer: 1. By the time first tooth erupts